The usefulness of the long bones in stature estimation is
1. Femur > tibia > humerus > radius
2. Tibia > femur > humerus > radius
3. Femur > Humerus > tibia > radius
4. Tibia > humerus > femur > radius

Correct answer: 1. Femur > tibia > humerus > radius

Explanation: For height estimation : (of the individual's height in life ) Humerus is 20% Tibia 22% Femur 27% Spine 35%